The tensile strength of the wound starts and increases after-
1. Immediate suture of the wound
2. 3 to 4 days
3. 7-10 days
4. 6 months

Correct answer: 2. 3 to 4 days